For renal stone, diagnosis is not done by – a) IVPb) MRIc) PET-Scand) USGe) CT scan
1. a
2. c
3. bc
4. ad

Correct answer: 3. bc

Explanation: Radiological investigations used for urinary stones are : -
i)    Plane abdominal x-ray (KUB film) → First radiological test.
ii)   Intravenous pyelogram (IVP).
iii)  Non-contrast helical CT → Investigation of choice.
iv)  USG